The following structure represents all the 3 components of the embryonic disc -
1. Tympanic membrane
2. Retina
3. Meninges
4. None of the above

Correct answer: 1. Tympanic membrane